Which among the following is not an adhesion molecule?
1. Integrin
2. Selectin
3. cadherins
4. Transferrin

Correct answer: 4. Transferrin

Explanation: The cell adhesion molecules (CAMs) are classified into four main families: Immunoglobulin family CAMs Cadherins Integrins selectins Integrins are the most important molecules promoting cell-cell or cell-matrix interactions by interacting with vascular cell adhesion molecule (VCAM) or intercellular adhesion molecule (ICAM). The most important molecule responsible for diapedesis is called PECAM-1 (platelet endothelial cell adhesion molecule) transferrins are iron binding plasma protein ref robbins pathology 9th ed page 24